Enzyme activated by decrease in Insulin: glucagon ratio:
1. Glucokinase
2. Hexokinase
3. PFK
4. Glucose 6 phosphatase

Correct answer: 4. Glucose 6 phosphatase

Explanation: Low Insulin: Glucagon ratio means=Catabolicstate (Aslow insulinmeansFasting stateor catabolic state).Insulinis released in Fed state. So, in fasting stateglucose-6-phosphatasewill be active as this enzyme is involved ingluconeogenesis,which occurs duringfasting. OTHER OPTIONS OPTION A: Glucokinase phosphorylates glucose in liver and pancreas, active in fed state and is induced by insulin. OPTION B: Hexokinase also phosphorylates glucose and is present in all cells of the body. It is active in any situation in body as it is a general enzyme to phosphorylate glucose OPTION C: Phospho fructokinase is involved in glycolysis. PFK-1 is active in any situation and PFK-2 is active only in fed state.